Which is denatured collagen in humans ?
1. Gelatin
2. Homocollagen
3. Tropocollagen
4. None

Correct answer: 1. Gelatin

Explanation: Ans. is 'a' i.e., GelatinCollagen is the most abundant of all human proteins, constituting approximately 25% of total protein mass. Collagen is fibrous protein that possesses high tensile strength and cannot be stretched.All collagen types have a triple helical structure.Basic structural unit of collagen is a trimer of polypeptides, called tropocollagen, which consists of three polypeptide chains called ot-chains.These three polypeptide chains twisted around each other in a triple helix.Multiple tropocollagen molecules aggregate to form collagen fibrils, which inturn cross-link extensively to form collagen-fibers.The quarter staggered triple helical structure of collagen is responsible for is tensile strength.Different arrangements of collagen fibrils in tissue are seen. Parallel bundles in tendons and sheets layered at many angles in skin.Heat denatured collagen is gelatin.